Which of the following arteries supplies blood to trigeminal ganglion?
1. Basilar artery
2. Anterior cerebral artery
3. Posterior communicating artery
4. Cavernous part of internal carotid artery

Correct answer: 4. Cavernous part of internal carotid artery

Explanation: Ans. d (Cavernous part of internal carotid artery) (Ref. BDC vol. 3/4th/ pg. 103)Cavernous branches of ICA supply the trigeminal ganglion, the walls of the cavernous and inferior petrosal sinuses and the nerves contained therein.The trigeminal ganglion (or Gasserian ganglion, or semilunar ganglion) is a sensory ganglion of the trigeminal nerve (CNV) that occupies a cavity (Meckel's cave) in the dura mater, covering the trigeminal impression near the apex of the petrous part of the temporal bone. HSV-1 commonly reactivates from the trigeminal ganglion. Some people advocate RFA-thermal ablation or the use of glycerol or alcohol for direct injection to the Gasserian ganglion for Rx of Trigeminal neuralgia.Branches Of The Internal Carotid Artery# Cl: Branches from the cervical portion - none.# C2: Branches from the petrous portion- Caroticotympanic arteries- Vidian artery (artery of the pterygoid canal)# C3: Branches from the lacerum portion - none# C4: Branches from the cavernous portion- Branches of the meningohypophyseal trunk:# Tentorial basal branch# Tentorial marginal branch# Meningeal branch - helps supply blood to the meninges of the anterior cranial fossa.# Clivus branches - tiny branches that supply the clivus# Inferior hypophyseal artery- Capsular branches - supplies wall of cavernous sinus- Branches of the inferolateral trunk:# Branches to trigeminal ganglion - provide blood to trigeminal ganglion.# Artery of the foramen rotundum# Branches to nerves# C5: Branches from the clinoid portion - none# C6: Branches from the ophthalmic portion- Ophthalmic artery- Superior hypophysial artery# C7: Branches from the communicating portion- Posterior communicating artery- Anterior choroidal artery2- Anterior cerebral artery (a terminal branch)- Middle cerebral artery (a terminal branch).